Normal expiratory reserve volume of adult?
1. 500 ml
2. 3000 ml
3. 1200 ml
4. 4500 ml

Correct answer: 3. 1200 ml

Explanation: Ans. is 'c' i.e., 1200 ml(Ref: Ganong 24n/e p.629)Inspiratory reserve volume - 3000 mlExpiratory reserve voulume -1200 ml